Quarantine period of cholera -
1. 1 day
2. 2 days
3. 5 days
4. 10 days

Correct answer: 3. 5 days

Explanation: Ans. is 'c' i.e., 5 days DiseaseQuarantine periodCholera5 daysPlague1 daysRabies14 daysSARS10 daysSmallpox21 daysYellow fever6 daysViral hemorrhagic fever21 days